Which of the following vascular occlusion is the most common cause of hemiplegia?
1. Basilar artery
2. Vertebral artery
3. Anterior cerebral artery
4. Middle cerebral artery

Correct answer: 4. Middle cerebral artery

Explanation: Ans. D Middle cerebral arteryRef: Harrison's, 1 7th ed. Chapter 23* The Middle cerebral artery is by far the largest cerebral artery and is the vessel most commonly affected by cerebrovascular accident (CVA) as it is the direct continuation of the internal carotid artery.* The MCA supplies most of the outer convex brain surface, nearly all the basal ganglia, and the posterior and anterior internal capsules. Hence it is most commonly affected and its occlusion most commonly leads to hemiplegia.